Sweaty feet odour in body fluids occur due to deficiency of
1. Biotin
2. Isovaleryl-CoA dehydrogenase
3. Thiamine linked decarboxylase
4. Leucine transaminase

Correct answer: 2. Isovaleryl-CoA dehydrogenase

Explanation: The impaired enzyme in isovaleric acidemia is isovaleryl-CoA dehydrogenase. Vomiting, acidosis and coma follow ingestion of excess protein. Accumulated isovaleryl-CoA is hydrolyzed to isovalerate and excreted. Characteristic odor of sweaty feet is present.
Harper's Illustrated Biochemistry 30 th edition page no 309